Aminoacid sequence of hcG is 80% similar to
1. FSH
2. LH
3. GnRH
4. None

Correct answer: 2. LH

Explanation: Amino acid sequence of LH and hcG - β subunits demonstrates 80% similarity.